Maximum shortening of lower limb is seen in:
1. Fracture shaft femur
2. Fracture neck femur
3. Fracture intertrochanteric femur
4. Transcervical fracture neck femur

Correct answer: 1. Fracture shaft femur

Explanation: (a) Fracture shaft femurLower limb injures associated with maximum shortening are posterior dislocation of hip > fracture shaft femur > Fracture subtrochanteric femur > Intertrochanteric fracture > Fracture Neck Femur